HCO3 is absorbed through?
1. PCT
2. DCT
3. Loop of henle
4. Collecting duct

Correct answer: 1. PCT

Explanation: Ans. (a) PCTRef: Ganong 25th ed. / 713* 80-90% of bicarbonate is reabsorbed in PCT.* Absorption of HCO3 is indirect (due to secretion of H+ by PCT)* H+ + HCO3 H2CO3 - H2O + CO2 - CO2 diffuses into epithelial cell and generate HCO3 ion which is then reabsorbed.Also Know* PCT reabsorbs: Na+ Cl, HCO3, PO4, K+,Glucose and amino acid* PCT secrets: H+ ion, organic acid and bases (oxalate, urate)* PCT is highly permeable to water.